Impression plaster is
1. Hydrophobic
2. Hydrophilic
3. Not compatible in wet sulcus
4. Highly viscous

Correct answer: 2. Hydrophilic